Wound strength is 70% after:
1. 1 week
2. 1 month
3. 3 months
4. 6 months

Correct answer: 3. 3 months

Explanation: Wound strength is10% after 1week, and 70% at the end of 3rd month.